Biuret test is used for detection of:
1. Protein
2. Cholesterol
3. Steroid
4. Sugar

Correct answer: 1. Protein

Explanation: Ans: a (Protein) Ref: Vasudevan 4th ed/p.23, 24. 34.Biuret reaction:-* Cupric ions chelate with peptide bonds of proteins in alkaline medium to produce a pink or violet colour. This needs a minimum of two peptide bonds and so individual amino acids and dipeptides will not answer this test.* Biuret reagent - CuS04, sodium potassium tartarate and potassiumiodide in sodium hydroxide.* The intensity of colour is directly proportional to the peptide bonds and is estimated colourimetrically.Other tests:Fouchet'stest-Bile pigmentsHay's sulphur test- Bile saltsBenedict's test- Blood sugarRothera's test- Ketone bodiesReagentsEhrlich's aldehyde - Porphobilinogen and UrobilinogenFouchet's reagent - Bile pigmentBenedict's reagent - GlucoseSodium nitroprusside - Ketones